Which of the following helps in generating reactive 02 intermediates in neutrophils?
1. NADPH Oxidase
2. Superoxide dismutase (SOD)
3. Catalase
4. Glutathione peroxidase

Correct answer: 1. NADPH Oxidase

Explanation: Ans. is 'a' i.e., NADPH oxidase